As arterial pressure is raised and lowered during the course of a day, blood flow through the brain would be expected to
1. Change in the same direction as the arterial blood pressure because of the limited autoregulatory ability of the cerebral vessels
2. Change in a direction opposite the change in mean arterial pressure
3. Remain constant because cerebral vascular resistance changes in the same direction as arterial pressure
4. Fluctuate widely, as both arterial pressure and brain neural activity status change

Correct answer: 3. Remain constant because cerebral vascular resistance changes in the same direction as arterial pressure

Explanation: Brain blood flow is constant despite large changes in the arterial blood pressure because vascular resistance usually changes in the same direction as the arterial pressure and by almost the same percentage.Ref: Guyton; 13th edition